Most common cause of CRF in adults is:
1. Tuberculosis
2. Hypertension
3. Diabetes Mellitus
4. Glomerulonephritis

Correct answer: 3. Diabetes Mellitus

Explanation: Answer is C (Diabetes Mellitus): The most common cause of Chronic Renal Failure in adults is Diabetic Nephropathy (most often secondary to Type-2 Diabetes Mellitus)